The period of viability of a child is
1. 150 days
2. 210 days
3. 270 days
4. 240 days

Correct answer: 2. 210 days

Explanation: Viability of a child Viability means ability of a child to have separate existence after it is separated from its mother. The period of viability is 210 days( 7 months or 28weeks) ref: FORENSIC MEDICINE AND TOXICOLOGY Dr PC IGNATIUS THIRD EDITION PAGE 347